A 60 year old male patient complains of discoloration of right leg. Patient is a known case of diabetes mellitus and gives a history of traumatic injury to right leg. General physical examination reveals blackish discoloration of right leg with pus and foul smell. Which of the following most appropriately describes the condition of this patient?
1. Wet gangrene
2. Dry gangrene
3. Psoriasis
4. Pemphigus

Correct answer: 1. Wet gangrene

Explanation: Although gangrenous necrosis is not a distinctive pattern of cell death, the term is still commonly used in clinical practice.
It usually refers to the condition of a limb (generally the lower leg) that has lost its blood supply and has undergone coagulative necrosis involving multiple tissue layers. When bacterial infection is superimposed, the morphologic appearance changes to liquefactive necrosis because of the destructive contents of the bacteria and the attracted leukocytes (resulting in so-called “wet gangrene”).
Reference: Robbins Basic Pathology, Kumar, Abbas, Aster, Elsevier, 10th Edition, Page No: 36